Which of the following is not a component of triglycerides?
1. Glycerol
2. Linoleic acid
3. Palmitic acid
4. Sphingosine

Correct answer: 4. Sphingosine

Explanation: Triacylglycerols Neutral lipids Made up of glycerol and fatty acids. Linoleic acid and palmitic acid are fatty acids. Sphingosine Amino alcohol Component of sphingolipids.